Rifampicin is obtained from -
1. Sea fish
2. Plant
3. Leaves
4. Bacteria

Correct answer: 4. Bacteria

Explanation: Ans. is `d' i.e., Bacteria Rifampin is a semisynthetic derivative of rifamycin, an antibiotic produced by Streptomyces mediterranei.